Davidson body is used to determine -
1. Age
2. Sex
3. Race
4. All of the above

Correct answer: 2. Sex

Explanation: Davidson body is a small nuclear appendage of drumstick in six per cent of neutrophils in females. It is used to determine the sex of the individual. REF: Dr Narayana Reddys Synopsis of Forensic Medicine & Toxicology 29th edition pg: 33